Sample registration survey is conducted every
1. 6 months
2. 1 year
3. 10 years
4. 2 years

Correct answer: 1. 6 months

Explanation: Ref:Park's Textbook of Preventive and Social Medicine 25th Ed